Prophylactic intracranial irradiations are given in –
1. Small cell Ca of lung
2. Testicular Ca
3. Ca breast
4. Ca stomach

Correct answer: 1. Small cell Ca of lung

Explanation: Prophylactic craniospinal irradiation is given in:- medulloblastoma, SCC lung, Glioblastoma, Germinoma, ALL, Non-Hodgkin's lymphoma (NHL), Leptomeningeal rhabdomyosarcoma